Newborn 7 days old with vomiting and dehydration clinical examination was normal except for by hyperpigmentation of nipple. Electrolytes Na: 120 meq.K: 9 meq. most likely diagnosis -
1. Primary hypothyroidism
2. Cong. adrenal hyperplasia
3. Panhypopituitarism
4. Pyloric stenosis

Correct answer: 2. Cong. adrenal hyperplasia